Your patient on infertility treatment comes to you for consultation. She feels that the uterine myoma may be responsible for her decreased fertility. Which of the following is NOT a mechanism for decreased fertility in patients with uterine myoma?
1. Impaired tubal motility
2. Distorted uterine cavity
3. Displacement of cervix from vaginal pool of semen
4. Increased vascularity

Correct answer: 4. Increased vascularity

Explanation: Uterine myomas may cause poor vascularity and thinning of endometrium thus interfering with implantation. A submucous fibroid may also cause atrophy and even ulceration. Rest of the mechanisms mentioned in the question are responsible for subfertility in patients with uterine myoma. Ref: Essentials of Gynaecology by Lakshmi Seshadri, Edition 1, page - 145.